Father of neuro - otology is:
1. William F House
2. Julius Lempert
3. John shea
4. Hayes Martin

Correct answer: 1. William F House

Explanation: "William House was considered the father of Neurotology because of his pioneering development approaches for the removal of acoustic tumors and the management of patients with disabling vertigo," said William House's nephew, John House, M.D., who is a House Clinic physician and House Research Institute president.